CVS complications of HIV infection includes all of the following, except:
1. Pericardial effusion
2. Cardiac tamponade
3. Congestive cardiac failure
4. Aortic aneurysm

Correct answer: 4. Aortic aneurysm